Ritodrine is a:-
1. b 2 agonist
2. b antagonist
3. a agonist
4. a 1 antagonist

Correct answer: 1. b 2 agonist

Explanation: * Selective b2 stimulants : salbutamol, terbutaline, salmeterol, formoterol and ritodrine * b2 agonists can be used for preterm labour as they cause uterine relaxation. * b2 Stimulators Used in preterm labour : RITODRINE ISOXSUPRINE